A patient presents to emergency with a pinpoint pupil, salivation lacrimation, tremors and red tears. Plasma cholinesterase level Was 30% of normal. Most probable Diagnosis is:
1. Organophospahte Poisoning
2. Dhatura Poisoning
3. Opioid Poisoning
4. Pontine hemorrhage

Correct answer: 1. Organophospahte Poisoning

Explanation: organophosphates are anticholinesterases so it reduces cholinesterase level.
op compounds have muscurnic, nicotinic, and central actions so it causes lacrimation, salivation, tremors.